All of the following conditions are commonlyassociated with a group A, b-hemolytic streptococci infection except one. Which one is the exception?
1. Scarlet fever.
2. Toxic shock syndrome.
3. Pharyngitis.
4. Endocarditis.

Correct answer: 4. Endocarditis.

Explanation: Endocarditis is most commonly caused by group B, α-hemolytic streptococci, such as S. viridans, S. mutans, S. sanguis, and S. salivarius. All of the other conditions are associated with group A β-hemolytic streptococcal infections, such as S. pyogenes.